A distal extension partial denture receives its support
1. From terminal abutments
2. Equally from abutments and the residual ridges
3. Mostly from residual ridge
4. Exclusively from residual ridge

Correct answer: 3. Mostly from residual ridge